A patient has wide eyes, nervousness, raised systolic BP and weight loss. Most probable diagnosis is:
1. Hypothyroidism
2. Hyperthyroidism
3. Hyperparathyroidism
4. Hypoparathyroidism

Correct answer: 2. Hyperthyroidism